A 25-year-old man is seeing a male psychologist for dynamic psychotherapy. He feels very angry with the psychologist as he finds that the psychologist is exerting his authority like his abusive father. The phenomenon is known as?
1. Acting out
2. Boundary violation
3. Transference
4. Resistance

Correct answer: 3. Transference

Explanation: This phenomenon is known as transference because the patient unconsciously relates the therapist to someone from his past (i.e. his abusive father). Conversely , the feeling doctor feels towards the patient based on current feelings and feelings from the past is known as counter transference.